Inverse stretch reflex is mediated by?
1. Muscle spindle
2. Golgi tendon organ
3. Unmyelinated C fibres
4. B fibers

Correct answer: 2. Golgi tendon organ

Explanation: Ans. (b) Golgi Tendon organRef: Ganong 25th ed. / 232A Golgi Tendon Reflex/ Inverse Stretch Reflex Operates as follows:* As the tension applied to a tendon increases, the Golgi tendon organ (sensor) is stimulated.* Nerve impulses (action potentials) arise and propagate along the lb sensory nerve fibers into the spinal cord.* Within the spinal cord , the lb sensory nerve fibers synapse and generate an IPSP (inhibitory post synaptic potential) on the motor neurons that supply the muscles form which the fibers arise* The muscle relaxes and excess tension is relieved.